mood stabilzer used in the management of trigeminal neuralgia is
1. carbamezepine
2. valproate
3. lamotrigine
4. lithium

Correct answer: 1. carbamezepine

Explanation: Carbamazepine - USES - TRIGEMINAL NEURALGIA - TEMPORAL LOBE EPILEPSY - SECOND LINE MOOD STABILIZER Ref.Kaplon and Sadock, synopsis of psychitry, 11 th edition, pg no.935